All are true regarding muscular changes after death except -
1. Rigor mortis occurs 1-2 hours after the death
2. Cadaveric spasm involves involuntary muscles
3. Rigor mortis involves voluntary muscles
4. Rigor mortis involves involuntary muscles

Correct answer: 2. Cadaveric spasm involves involuntary muscles

Explanation: Cadaveric spasm involves a single group of voluntary muscles. Dr. Narayana Reddys Synopsis of Forensic Medicine & Toxicology 27 th edition pg. 81.